Which route is most preferred for Endopthalmitis treatment -
1. Oral antibiotic
2. Intravenous antibiotic
3. Topical antibiotic
4. Intravitreat antibiotic

Correct answer: 4. Intravitreat antibiotic

Explanation: (Ref: Kanski's clinical ophthalmology 8th/e p.292) Intravitreat antibiotics is the most preferred mode of treatment.